13-year-old boy presented with complaints of episodes of headache, abdominal pain, palpitations, excessive sweating and dizziness. His mother also told that his weight is not gaining . On examination he is hypertensive, and tremors are present. What is the likely cause of child's condition?
1. Diabetes mellitus
2. Hysterical fainting spells
3. Pheochromocytoma
4. Hypothyroidism

Correct answer: 3. Pheochromocytoma

Explanation: Clinical findings s/o Pheochromocytoma. Pheochromocytomas: catecholamine-producing tumors that arises from chromaffin cells of abdominal sympathetic chain / Peri adrenal area / thoracic cavity. These tumors may arise sporadically or be inherited as features of MEN 2 or von Hippel- Lindau (VHL) disease or Neurofibromatosis More likely to be B/L than adults C/F: Episodes of palpitation, headache, and profuse sweating (classic triad) with dominant sign of Hypertension. Diagnosis : increase urinary VMA Rx: surgical removal Pre- operative alpha blockade with prazosin